I cells of duodenum secrete
1. Secretin
2. Gastrin
3. CCK
4. Motilin

Correct answer: 3. CCK

Explanation: In addition to its secretion by I cells in the upper intestine, CCK is found in nerves in the distal ileum and colon.
It is also found in neurons in the brain, especially the cerebral cortex, and in nerves in many parts of the body.